Vertebrosternal rib is:
1. 7th
2. 8th
3. 10th
4. 12th

Correct answer: 1. 7th

Explanation: Ans. A. 7thCLASSIFICATION OF RIBSA. According to features1. Typical ribs: 3rd-9th.2. Atypical ribs: 1st, 2nd, 10th, 11th, and 12th.B. According to relation with the sternum1. True ribs: 1st-7th (i.e., upper 7 ribs).2. False ribs: 8th-12th (i.e., lower 5 ribs). True ribs articulate with the sternum anteriorly, whereas false ribs do not articulate with the sternum anteriorly.C. According to articulation1. Vertebrosternal ribs: 1st-7th.2. Vertebrochondral ribs: 8th-10th.3. Vertebral (floating) ribs: 11th and 12th.a. The vertebrosternalribs articulate posteriorly with vertebrae and anteriorly with the sternum.b. The vertebrochondralribs articulate posteriorly with vertebrae and anteriorly their cartilages join the cartilage of the higher rib.c. The vertebral or floating ribs articulate posteriorly with the vertebrae but their anterior ends are free.